Treatment for unipolar depression is -
1. Fluoxetine
2. Sertaline
3. Citaloprom
4. All of the above

Correct answer: 4. All of the above

Explanation: Ans. is 'd' i.e., All of the above o All the given drugs are SSRI antidepressants.AntidepressantsA) Typicala) Tricyclic antidepressantsi) NA + 5HT reuptake inhibitors:- Imipramine, Trimipramine, Amitriptyline, Clomipramine.ii) Predominantly NA reuptake inhibitors:- Desipramine, Nortriptyline, Amoxapine, Reboxetine.b) Selective serotonin reuptake inhibitors:- Fluoxetine, Paroxetine, Sertaline, Citalopram, Scitalopram.B) Atypical :- Trazodone, Mianserine, Mitrazapine, Venalafaxin, Duloxetine, Tianeptine, Amineptine, Bupropion.C) MAO inhibitors :- Tranylcypramine, Meclobemide, Clorgyline.